A patient with recurrent bacterial infections is diagnosed to have a genetic deficiency in myeloperoxidase. The cause of increased susceptibility to infections is -
1. Defective neutrophil degranulation
2. Defective production of prostaglandins
3. An inability to produce hydroxyhalide radicals
4. Decreased oxygen consumption after phagocytosis

Correct answer: 3. An inability to produce hydroxyhalide radicals

Explanation: Ans. is 'c' i.e., An inability to produce hydroxyhalide redicalso Myeloperoxidase in the presence of halide (C1 ) converts H202 to hypochlorite (HOCI). HOCI is a potent microbicidal agent that destroys microbes by halogenation or by oxidation of lipids and proteins. The H202 myeloperoxidase halide system is the most efficient bactericidal system in neutrophils.